Transplantation of Human Organs Act was passed in:
1. 1994
2. 1996
3. 2000
4. 2002

Correct answer: 1. 1994

Explanation: Ans. 1994